Why does Vit B6 deficiency lead to anemia?
1. ALA synthase is affected
2. Iron absorption is affected
3. RBC life span is reduced
4. B6 deficiency leads to bleeding

Correct answer: 1. ALA synthase is affected

Explanation: ALA synthase catalyses the first and rate limiting step of heme synthesis PLP (Vitamin B6) is necessary for this reaction. That is why B6 deficiency can also lead to anemia